Anterior horn cells are affected in :
1. Dhatura poisoning
2. Strychnine poisoning
3. Botulism
4. None of the above

Correct answer: 2. Strychnine poisoning

Explanation: B i.e. Strychnine poisoning